30 years old woman presents in gynaec OPD with complaints of recurrent abortions and menorrhagia. Her USG showed 2 sub-serosal fibroids of 3 x 4 cm on anterior wall of uterus and fundus, which is best line of management:-
1. TAH with BSO
2. Myolysis
3. Myometomy
4. Uterine artery embolisation (UAE)

Correct answer: 3. Myometomy

Explanation: Myomectomy is best treatment for such young patients with incomplete family Advantages of laparoscopic myomectomy: Type 5,6,7 fibroids are easily removed by this procedure Less blood Loss Earlier Recovery Criteria 3-4 fibroids of <=5 cm Single Fibroid of 15 cm Uterine embolisation may result in compromised blood flow later and may be associated with infertility and placental insufficiency in pregnancy TAH + BSO can not be considered as patient's family is not complete